Growth trends show that in most patients
1. maxilla and mandible grow in unison
2. maxilla grows more rapidly
3. mandible grows at faster rate than the middle third of the face
4. no such conclusion could be made

Correct answer: 3. mandible grows at faster rate than the middle third of the face